Following an automobile accident, a 20-year- old woman is found by a retrograde urethrogram to have an extraperitoneal bladder rupture. Initial management of this injury should be
1. Celiotomy and open repair of the injury
2. Celiotomy and placement of drains in the retropubic space
3. Insertion of a Foley catheter through the urethra
4. Observation for evidence of a continuing urinary leak

Correct answer: 3. Insertion of a Foley catheter through the urethra

Explanation: (C) Insertion of a Foley catheter through ........ With Foley catheter drainage, an extra peritoneal bladder injury should close spontaneously. Colostomy and bladder repair is appropriate for intraperitoneal bladder injury. Suprapubic cystostomy may be required if a Foley catheter cannot be passed safely through an injury in the posterior urethra.